Esthiomene is seen in:
1. Chancroid
2. Granuloma inguinale
3. LGV
4. Syphilis

Correct answer: 3. LGV

Explanation: Esthiomene: Hypertrophic enlargement with ulceration of the external genitalia. Late complications of LGV: 1. Groove sign 2. Genital elephantiasis -in females leads to Esthiomene ( eating away of genitals) -in males leads to Saxophone penis(size increased) 3. Ano-rectal syndrome 4. Vagino-rectal syndrome 5. Fibrosis of the lymph nodes causing lymphedema and genital elephantiasis